Analeptics will:
1. Depress CNS
2. Stimulate CNS
3. Causes seizures
4. Control seizures

Correct answer: 2. Stimulate CNS

Explanation: Ans: (b) Stimulate CNSRef: Kaplan and Sadock's Comprehensive Textbook of Psychiatry, 10th editionANALEPTICSAnaleptic drugs are basically CNS stimulants*.They also stimulate respiration by neural and other mechanisms.They are grouped based on their mechanism of action:Serotonin receptor agonists - BuspironeAMPA agonists - Ampakines (under trial)Adenosine antagonists - Caffeine (Methylxanthines)Potassium channel blockers - DoxapramUses:Serotonin receptor agonists - Depression*AMPA agonists - Used for research purposesAdenosine antagonists - Bronchodilator (Respiratory distress syndrome, Reactive airway disease)Potassium channel blockers - Reversal of respiratory depression (Following anesthesia, drug overdose, neonatal apnea, respiratory failure etc.)Side Effects:Excessive CNS stimulation - Irritability, anxiety, tremors, palpitations, seizures, insomnia, elevated pulse and BP.